Unfamiliarity of familiar things is seen in :
1. Deja vu
2. Jamais vu
3. Deja entendu
4. Deja pence

Correct answer: 2. Jamais vu

Explanation: B i.e. Jamais Vu Deja vu feelings are defined as those in which unfamiliar situations feel 'strangely' familiar Q. It may occur as a normal phenomenon and is also associated with several forms of epilepsy and schizophrenia. Jamais vu are those feelings in which the familiar situations are perceived unfamiliar Q. Apart from schizophrenia it also occurs in epilepsy. Deja entendu is the illusion that what one is hearing was heard previouslyQ and deja pense in which a thought never entertained before is incorrectly regarded as repetition of a previous thought.